In which of the following conditions " Onion Skin" fibrosis of bileduct is seen
1. Ulcerative collitis
2. Primary sclerosing cholangitis
3. Primary biliary cirrhosis
4. Cholangiocarcinoma

Correct answer: 2. Primary sclerosing cholangitis

Explanation: Concentric periductal fibrosis is known as onion skin fibrosis and is classical of Primary sclerosing cholangitis.